Paget's disease of the nipple is-
1. Infection
2. Dermatitis
3. Neoplasia
4. Hypopigmentation

Correct answer: 3. Neoplasia